Claw Sign" is seen in:
1. Intussusception
2. Volvulus
3. Pyloric stenosis
4. Peptic ulcer

Correct answer: 1. Intussusception

Explanation: Intussusception